Which of the following is not atypical antipsychotic:
1. Aripiprazole
2. Amoxapine
3. Clozapine
4. Zotepine

Correct answer: 2. Amoxapine

Explanation: Ans: B (Amoxapine) ]Amoxapine is tricyclic antdepressant- KDT 7th/455ATYPICAL ANTIPSYCHOTIC KDT7th/436ClozapineAripiprazoleRisperidone.OlanzapineQuetiapineZiprasidoneAmisulpirideZotepineAsenapine-Katzung 13th/494 73Paliperidone-Katzung 13th/494Sertindole- Katzung 13th/ 494